ATT drug causing hyperuricemia:
1. Isoniazid
2. Pyrazinamide
3. Streptomycin
4. Rifampicin

Correct answer: 2. Pyrazinamide

Explanation: Ans. (b) PyrazinamideRef : KDT 6th ed. / 742Pyrazinamidemicrosomal deaminase-----------------pyrazinoic acid(POA)xanthine oxidase---------------5-hydroxypyrazinoic acid* Pyrazinamide is hydrolyzed by microsomal deaminase to pyrazinoic acid (POA) and then hydroxylated to 5-hydroxypyrazinoic acid by xanthine oxidase for excretion by the kidneys.* Pyrazinamide is a first line antitubercular drug that can cause hyperuricemia (secondary to inhibition of uric acid secretion in the kidney) and hepatotoxicity.* This hyperuricemia leads to arthralgia due to competitive inhibition of xanthine oxidase by POA. It should not be stopped if hyperuricemia develops* Ethambutol also produces hyperuricemia due to interferance with urate excretion.